A drug having narrow therapeutic range is
1. Lithium
2. Sertraline
3. Reboxetine
4. Dothiepin

Correct answer: 1. Lithium

Explanation: Therapeutic range is bounded by the dose which produces a minimal therapeutic effect and the dose which produces a maximal acceptable adverse effect.
Example of the narrow therapeutic range are lithium, Phenytoin.